Mechanism of action of dipyridamole -
1. Adenosine reuptake inhibition
2. Increases PGI,
3. Inhibits cycloxygenase
4. None

Correct answer: 1. Adenosine reuptake inhibition

Explanation: Ans. is 'a' i.e., Adenosine reuptake inhibition o Dipyridamole is a powerful coronary dilator; increases total coronary flow by preventing uptake and degradation of adenosine. Remember o Dipyridamol potentiates the action of PG12.